Hepatitis B remains in latent period for a long time but still there is increased risk of HCC, what is the cause of this transformation?
1. Inability to induce inflammation to remove organism
2. High level of transaminase
3. High rate of proliferation of hepatocyte
4. Risk of integration of viral DNA with host DNA.

Correct answer: 4. Risk of integration of viral DNA with host DNA.

Explanation: ANS. DLet us analyze this question by looking at each option.Option A is a correct statement, but inability to induce inflammation is not the cause for transformation into hepatocellular carcinoma.Option B is not definitely the cause for HCC as elevated transaminases does not have anything to do with HCC.Option C is not correct as in latent period, there is no proliferation of hepatocytes.Option D is the answer and integration of viral DNA with host DNA causes transformation into HCC.